Adding glucose to stored blood causes?
1. Prevent hemolysis
2. Gives nutrition to cells
3. Increase acidosis of blood
4. Prevent Hyperkalemia

Correct answer: 2. Gives nutrition to cells